Class IV cavity:
1. Occurs on the proximal surface not involving the incisal edge of anterior teeth
2. Occurs on proximal surface involving the incisal edge of anterior teeth
3. Occurs on proximal surface involving the incisal edge of posterior teeth
4. Involves the buccal surface of Anterior and posterior teeth

Correct answer: 2. Occurs on proximal surface involving the incisal edge of anterior teeth